Which one of the following is not a feature of adult polycystic kidney disease?
1. Hypertension
2. Intermittent renal colic
3. Massive proteinuria
4. Macroscopic haematuria

Correct answer: 3. Massive proteinuria

Explanation: The most frequent and earliest presenting feature is a dull ache in the lumbar regions. In others, the presenting complaints are haematuria or passage of blood clots in urine, renal colic, hypertension, urinary tract infections and progressive CRF with polyuria and proteinuria. Ref: Harsh Mohan textbook of pathology 6th edition page 658